SIADH is associated with -
1. Small cell carcinoma lung
2. Adeno carcinoma lung
3. Squamous cell carcinoma lung
4. Mixed cell tumor lung

Correct answer: 1. Small cell carcinoma lung

Explanation: SIDAH is associated with Ectopic vasopressin production by tumors most common cause of SIADH. SCLC and carcinoids are most common source of ectopic vasopressin production Small cell carcinoma of lung Carcinoma of duodenum and pancreas Ewing's sarcoma Thymoma Lymphoma Mesothelioma Carcinoma of bladder Ref - researchgate.net, (Harrison's 17 pg 619).-